A chest physician performs bronchoscopy in the procedure room of the out patient department. To make the instrument safe for use in the next patient waiting outside, the most appropriate method to disinfect the endoscope is by -
1. 70% alcohol for 5 min
2. 2% glutaraldehyde for 20 min
3. 2% formaldehyde for 10 min
4. 1% sodium hypochlorite for 15 min

Correct answer: 2. 2% glutaraldehyde for 20 min